Hemorrhagic rashes are seen in-
1. Malaria
2. Enteric fever
3. Meningococal infection
4. Pneumonia

Correct answer: 3. Meningococal infection

Explanation: 90% of patients with meningococcal meningitis will have two of the following features : fever,neck stiffness,altered consciousness & typical morbiliform,petechial or purpuric rash(due to hemorrhagic diathesis. Ref Harrison20th edition pg 1107